Renal cell carcinoma is related to gene located on chromosome ?
1. 3
2. X
3. 22
4. 20

Correct answer: 1. 3

Explanation: Ans. is 'a' i.e., 3